Primary atypical pneumonia is caused by all of the following organisms, EXCEPT:
1. Coxiella burnetii
2. Influenza
3. Measles
4. Mumps virus

Correct answer: 4. Mumps virus

Explanation: Primary atypical pneumonia is not a known complication of mumps. Clinical manifestations of mumps includes parotitis, epididymoorchitis, aseptic meningitis and mumps pancreatitis. Myocarditis and endocardial fibroelastosis are rare and self-limited severe complications. Other unusual complications include thyroiditis, nephritis, arthritis, hepatic disease, keratouveitis, and thrombocytopenic purpura. Features of atypical pneumonias includes: Exhibition of a non lobar, patchy, ill defined infiltrate on chest X ray Failure to show a causative organism on gram stain or culture of sputum as routinely performed. Bacterial causes of atypical pneumonia includes Mycoplasma pneumoniae, Chlamydia pneumoniae, Legionella pneumophila, Coxiella burnetii and Chlamydophila psittaci. Viral causes of atypical pneumonia includes Influenzae virus, respiratory syncytial virus and adenovirus. Ref: Rubin S., Carbone K.M. (2012). Chapter 194. Mumps. In D.L. Longo, A.S. Fauci, D.L. Kasper, S.L. Hauser, J.L. Jameson, J. Loscalzo (Eds), Harrison's Principles of Internal Medicine, 18e. Guide to Infectious Diseases by Body System By Jeffrey C. Pommerville page 11.